Doctrine of Common Knowledge is a variant of:
1. Medical maloccurance
2. Novus actus interveniens
3. Res ipsa loquitur
4. Calculated risk doctrine

Correct answer: 3. Res ipsa loquitur

Explanation: Ans. Res ipsa loquitur